Macular sparing is seen in a lesion of
1. Optic nerve
2. Optic chiasma
3. Occipital lobe
4. Parietal lobe

Correct answer: 3. Occipital lobe

Explanation: Retention of macular function in spite of losses in the adjacent visual field. Example: In homonymous hemianopia due to an occipital lobe lesion (e.g. an interference in the blood flow in the middle cerebral artery). Reason: Macula has a dual blood supply of both MCA and PCA Visual Field Defects - Left Hemianopia with Macular Sparing. Left hemianopia with macular sparing is a partial loss of vision in the same half of both eyes with the center, the macula, spared. A lesion of both the dorsal radiation and Meyer's loop in the occipital lobe causes this blindness Reference: khurana 6th edition pg 677